Cephalic vein drains into
1. Brachial vein
2. Subclavian vein
3. Axillary vein
4. Inferior vena cava

Correct answer: 3. Axillary vein

Explanation: CEPHALIC VEIN:-&;begins as continuation of lateral end of dorsal venous arch. Crosses roof of anatomical snuff box. Ascends On radial border of forearm, continues in front of elbow,along biceps. Pierces deep fascia at lower border of pectoralis major. Runs in cleft between deltoid and pectoralis major. Pierces clavipectoral fascia. Drains into axillary vein.' Cephalic vein is accompanied by lateral cutaneous nerve of forearm. {Reference: vishram singh, pg no.98}